Angiotensin converting enzyme inhibitors when used for a long time in patients with hypertension, cause:
1. Rightward shift in renal pressure-natriuresis curve
2. Reduction in glomerular filtration fraction
3. Significant increase in heart rate
4. No change in compliance of large arteries

Correct answer: 2. Reduction in glomerular filtration fraction

Explanation: Unlike the direct-acting smooth muscle vasodilators or adrenergic inhibitors, ACE inhibitors dilate the efferent as well as the afferent glomerular arterioles and thereby reduce glomerular hydrostatic pressure and renal filtration fraction, even though renal blood flow and glomerular filtration rate are preserved. Ref: KD Tripathi 8th ed.